Example of Dimorphic fungus -
1. Cryptococcus
2. Blastomyces
3. Cladosporum
4. T. montagrophytes

Correct answer: 2. Blastomyces

Explanation: Ans. is 'b' i.e., Blastomyces Dimorphic fungio Fungi that have two growth forms, such as mold (filaments) and a yeast, which develop under different growth conditions.o In host tissues or cultures at 3 / C they occur as yeasts, while in the soil and in cultures at 22 C they appear as moulds.o Most fungi causing systemic infections are dimorphic fungi.Examples:# Coccidioides# Histoplasma# Blastomyces# Paracoccidioides# Sporothrix (Sporotrichum)# Candida albicans# Penicillium mameffiNote - Candida albicans is a dimorphic fungus, while other species of Candida are not dimorphic.